Radiation affects:
1. RNA
2. DNA
3. Mitochondria
4. Cytoskeleton protein

Correct answer: 2. DNA

Explanation: Ans. (b) DNARef: Harper's Biochemistry, 30lh ed. pg. 724* Radiation exposure leads to increased destruction of DNA.* Radiation causes pyrimidine dimerization- leading to DNA damage.